Which of the following enters the TCA cycle at succinyl - CoA?
1. Tyrosine
2. Methionine
3. Tryptophan
4. Histidine

Correct answer: 2. Methionine

Explanation: Valine Isoleucine Methionine converts to Propionyl CoA & then converts to Succinyl CoA & enters the cycle.Ref: DM Vasudevan Textbook of Medical Biochemistry, 6th edition, page no: 221